HPV infects which cells first:
1. Superficial cells epidermis
2. Basal cells
3. Subcutaneous cells
4. Dermal cells

Correct answer: 2. Basal cells

Explanation: Ans. b. Basal cells